Referred pain in the ear is commonly from:
1. Mandibular cancer
2. Carcinoma of tongue
3. Nasopharyngeal cancer
4. Maxillary carcinoma

Correct answer: 2. Carcinoma of tongue

Explanation: Ans. (b) Carcinoma of tongueRefi Dhingra 5th Ed. /. 240* Referred pain in the ear is most likely due to carcinoma of tongue.* Due to common nerve supply of the tongue (lingual nerve) and ear (auriculo temporal) from the mandibular division of the trigeminal nerve, a referred pain of tongue CA presents with ipsilateral ear pain.B CARCINOMA OF TONGUE* Carcinoma involving anterior 2/3"1 of tongue is commonly seen in men in the age group of 50-70 years.* It may also develop on a pre-existing leukoplakia, long standing dental ulcer or syphilitic glossitis* Most common type of tongue CA: Squamous cell type* Site: Most common site is middle of the lateral border or the ventral aspect of the tongueClinical Presentation* A submucous nodule with induration of the surrounding tissue.* An exophytic lesion like a papilloma* A non-healing ulcer with rolled edges, grayish white shaggy base and induration.Symptomatology* Early lesions are painless and remain asymptomatic for a long time* Pain in the tongue locally at the site of ulcer* Pain in the ipsilateral ear: due to common nerve supply of the tongue (lingual nerve) and ear (auriculo temporal) from the mandibular division of the trigeminal nerve* A lump in the mouth* Enlarged lymph node mass in the neck* Dysphagia, difficulty to protrude the tongue, slurred speech and bleeding from the mouth are late features.